Efficacy of salmeterol is increased if it is given along with -
1. Theophylline
2. Corticosteroid
3. Ipratropium
4. Sodium cromoglycate

Correct answer: 2. Corticosteroid

Explanation: Ans. is 'b' i.e., Corticosteroid o Concurrent use of inhaled salmeterol with inhaled glucocorticoid produces effects equivalent to double dose of the corticoid alone.